A patient using contact lens develops corneal infection. Laboratory diagnosis of acanthamoeba keratitis was established.The following is the best drug for treatment-
1. Propamide
2. Neosporine
3. Ketoconazole
4. Polyhexamethylene biguanide

Correct answer: 4. Polyhexamethylene biguanide

Explanation: Polyhexamethylene biguanide PHMB (Drug of choice) Chlorhexidine is an alternative